Which compound is produced in the hexose monophosphate (pentose phosphate) pathway?
1. ATP
2. NADH
3. NADPH
4. Fructose 1,6-bisphosphate

Correct answer: 3. NADPH

Explanation: NADPH is required as a reducing agent for the synthesis of fatty acids. The hexose monophosphate pathway also produces ribose 5-phosphate for nucleotide synthesis. No ATP or NADH is produced in the pathway. Fructose 1,6-bisphosphate is produced during glycolysis.